Helicine artery are branch of ?
1. Deep artery of penis
2. Femoral artery
3. External pudendal artery
4. None of the above

Correct answer: 1. Deep artery of penis

Explanation: Ans. is 'a' i.e., Deep artery of penis Helicine arteries of penis are five branches of cavernosal artery (deep artery of penis) that fill sinusoidal space of corpora covernosa.Helicine arteries of uterus are extremely tortuous terminal branches of uterine artery supplying uterine muscle.